Buerger disease triad involves all except
1. Raynaud’s Phenomenon
2. Thrombophlebitis of migratory superficial vein
3. Intermittent Claudication
4. None of the above

Correct answer: 4. None of the above